Post operative complications of cataract are all except?
1. After cataract
2. Endophthalmitis
3. Glaucoma
4. Scleritis

Correct answer: 4. Scleritis

Explanation: Scleritis is not a complication of cataract surgery. (Ref: Ophthalmology by Duker 2nd/e p.484)